Waldeyer's ring consists of all of the following except?
1. Palatine tonsils
2. Pharyngeal tonsils
3. Tubal tonsils
4. Post auricular nodes

Correct answer: 4. Post auricular nodes

Explanation: In relation to the oropharyngeal isthmus, there are several aggregations of lymphoid tissue that constitute Waldeyer's lymphatic ring. The most important aggregations are the right and left palatine tonsils usually referred to simply as the tonsils. Posteriorly and above there is the pharyngeal tonsil; laterally and above there are the tubal tonsils, and inferiorly there is the lingual tonsil over the posterior part of the dorsum of the tongue. Ref: BD Chaurasia's HUMAN ANATOMY, Volume 3,4th edition.